All of the following statements are true about the term 'disease control' except
1. Agent is permitted to persist at low levels
2. Reducing the incidence of disease
3. Interruption of the transmission of disease
4. Focus is on primary and/ or secondary prevention

Correct answer: 3. Interruption of the transmission of disease

Explanation: Interruption of transmission of disease comes under Elimination. Disease control- reducing the disease burden to a level at which it is no longer a public health problem. Disease elimination - interruption of the transmission of the disease and continued measures to prevent re-establishment. Disease eradication - permanent reduction to zero of the worldwide incidence of infection caused by a specific agent. Intervention measures are no longer needed once eradication has been achieved. Ref: Park's Textbook of Preventive and Social Medicine; 24th edition - Page no. 99,273